Tongue nerve supply include all of the following EXCEPT
1. Glossopharyngeal Nerve
2. Hypoglossal nerve
3. Spinal accessory nerve
4. Facial Nerve

Correct answer: 3. Spinal accessory nerve

Explanation: (C) Spinal accessory nerve # SENSORY INNERVATION OF THE TONGUE reflects its embryological development.> Anterior two-thirds is derived from first-arch mesenchyme, hence the nerve of general sensation to the anterior two-thirds is the lingual nerve, which also carries taste sensation derived from the chorda tympani branch of the facial nerve.> Posterior one-third from third-arch mesenchyme, hence the nerve supplying both general and taste sensation to the posterior one-third is the glossopharyngeal nerve.> An additional area in the region of the valleculae is supplied by the internal laryngeal branch of the vagus nerve.> Muscles of the tongue, with the exception of palatoglossus, are supplied by the hypoglossal nerve.> Palatoglossus is supplied via the pharyngeal plexus.